Reduction in estradiol levels leads to all except
1. Increase in hypothalamic Norepinephrine.
2. Increase in hypothalamic serotonin.
3. Decrease in α2 receptor concentration.
4. Increase in α2 receptor concentration.

Correct answer: 4. Increase in α2 receptor concentration.

Explanation: Reductions in estradiol levels lead to decline in inhibitory presynaptic α2 adrenergic receptor concentrations.